Liquefactive necrosis is seen in which of the following?
1. Kidney
2. Heart
3. Cerebrum
4. Intestine

Correct answer: 3. Cerebrum

Explanation: Ref: Robbin's 9th ed. P 41-44Liquefactive/colliquative necrosis occurs due to digestion of dead cells and results in transformation of tissue into liquid viscous mass. The most common site involved is central nervous system.